All of the following are poor prognostic markers of CA Breast except-
1. DNA aneuploidy
2. ER positivity
3. Her 2 neu positivity
4. p53 over expression

Correct answer: 2. ER positivity

Explanation: Ans. (b) ER positivity(Ref Schwartz 10th edition page 536)Poor Prognostic factors of Breast Cancer:Tumor related factorsHost related factors* Nodal status - Increased* Size and Grade of tumor - High* Lympho vascular invasion* Hormone Receptor- Negative* High Pathological staging* DNA Ploidy, S Phase fraction +* Her 2/neu overexpression* Intraductal component+* Young age* Menopausal status* Family History* Breast cancer History* Nutrition* Prior Chemotherapy and RT